Spinal cord and nerve roots are supplied by ?
1. Anterior spinal artery
2. Posterior spinal artery
3. Ascending cervical artery
4. All of the above

Correct answer: 4. All of the above

Explanation: Ans. is D i.e., All of the aboveAnterior and posterior spinal arteries supply spinal cord, but not spinal nerve roots.Spinal nerve roots are supplied by radicular arteries which are segmental branches of vertebral, ascending cervical, deep cervical, intercostal and sacral arteries.Blood supply of spinal cord1. The spinal cord receives its blood supply from :The anterior spinal aeryTwo posterior spinal aeriesIn addition to these channels the pia mater covering the spinal cord has an arterial plexus (called the arterial vasocorona) which also sends branches into the substance of the cord.2. The main source of blood to the spinal cord is from the vertebral arteries (form which the anterior and posterior spinal arteries take origin)However, the blood from the vertebral artery reaches only up the cervical segments of the cord.Lower down the spinal cord receive blood through radicular arteries that .These arise form spinal branches of the vertebral, ascending cervical, deep cervical, intecostal, lumbar and sacral arteries